In peripheral nerve block, which of the following
local anesthetics has the longest duration of
action? (OR)
Which of the following local anesthetic agent would be preferred in prolonged surgical procedures?
1. Bupivacaine
2. Cocaine
3. Lignocaine
4. Prilocaine

Correct answer: 1. Bupivacaine